Methylphenindate is drug of choice for:
1. Obsessive compulsive disorder
2. ADHD (attention deficit hyperkinetic disorder)
3. Enuresis
4. Autism

Correct answer: 2. ADHD (attention deficit hyperkinetic disorder)